Termination nucleotide sequence among following is
1. AUG
2. UAA
3. AUA
4. AGG

Correct answer: 2. UAA

Explanation: UAA (Termination codons: UAA, UAG, UGA)